The sac contains only a portion of the circumference of the intestine -
1. Richter's hernia
2. Littre' s hernia
3. Spigelian hernia
4. Lumber hernia

Correct answer: 1. Richter's hernia

Explanation: Ans. is 'a' i.e., Richter's hernia